Sabin - Feldman dye test is used to diagnose:
1. Trypanosomiasis
2. Trichinellosis
3. Toxoplasmosis
4. Trichuriasis

Correct answer: 3. Toxoplasmosis

Explanation: Toxoplasmosis is caused by Toxoplasma gondii. Clinical toxoplasmosis is of type congenital and acquired. Most common method of diagnosis is by serology. Several serological test are available. These include Sabin-Feldman dye test, indirect immunofluorescence, indirect hemagglutination, complement fixation, ELISA. Sabin - Feldman test: Sabin - Feldman test is based on the appearance of specific antibody which render the live T.gonidii impermiable to dye, methylene blue and thus organism remain unstained in the presence of positive serum of the patient. This is the first serological test used for diagnosis of toxoplasmosis. It becomes positive 2-3 weeks after infection. It is a complement mediated neutralising antigen - antibody reaction. Also Know: Trichinosis is caused by Trichinella spiralis and is diagnosed using an intradermal test Bachman test. Trichuriasis is caused by Trichuris trichiura. Diagnosis depends on the demonstration of characteristic egg in faeces. Ref: Paniker's Textbook of parasitology, 6th Ed, Page 102.